Kit B is given at -
1. PHC
2. Subccnter
3. CHC
4. FRU level

Correct answer: 2. Subccnter

Explanation: Ans. is 'b' i.e., Subcenter